Radioresistant tumor is-
1. Lymphoma
2. Dvsgerminema
3. Breast cencer
4. Melanoma

Correct answer: 4. Melanoma

Explanation: Ans. is 'd' i.e.. Melanoma Radiosensitivity of different tumorsHighly sensitiveModerately sensitiveRelative resistantHighly resistanto Lymphomao Seminomao Multiple myelomao Ewings sarcomao Wilm's tumoro Dysgerminomao Small cell carcinoma of lungo Breast cancero Basal cell carcinomao Medulloblastomao Teratomao Ovarian cancero Nasopharyngeal carcinomao Squamous cell carcinoma of lungo Renal cell carcinomao Rectal carcinomao Colon carcinomao Bladder carcinomao Soft tissue sarcomao Cervical carcinomao Melanomao Osteosarcomao Pancreatic cancero Hepatic carcinoma